Which one of the following is also called "sucrose space"?
1. Plasma membrane
2. Intracellular fluid (ICF)
3. Extracellular fluid (ECF)
4. Cerebrospinal fluid (CSF)

Correct answer: 3. Extracellular fluid (ECF)

Explanation: The saccharides such as inulin, mannitol, sucrose are used to measure the volume of ECF. Thus, "sucrose space" is the space or volume measured by sucrose, i.e. the ECF.